Preferred procedure for obtaining endometrial sample for histopathology is
1. Dilatation and curettage
2. Dilatation and evacuation
3. Endometrial aspiration
4. Hysteroscopy

Correct answer: 3. Endometrial aspiration

Explanation: Endometrial aspiration should be the preferred procedure for obtaining endometrial sample for histopathology. If endometrium is thick on imaging, but where HPE is inadequate or atrophic, hysteroscopy should be performed to rule out polyps. Dilatation and curettage should not be the procedure of choice for endometrial assessment. Reference: Novak's gynaecology; 14th edition; Chapter 14; Benign Diseases of the Female Reproductive Tract